Which of the following nasal tumours originates from the olfactory mucosa?
1. Neuroblastoma
2. Nasal glioma
3. Esthesioneuroblastoma
4. Antrochoanal polyp

Correct answer: 3. Esthesioneuroblastoma

Explanation: Esthesioneuroblastoma (ENB), also known as olfactory neuroblastoma, is a rare neoplasm originating from olfactory neuroepithelium superior to middle turbinate. They are initially unilateral and can grow into the adjacent sinuses, contralateral nasal cavity and they can spread to orbit and brain. It can cause paraneoplastic syndrome by secreting vasoactive petides. Since it can spread intracranially craniofacial resection is the surgery of choice. Combination therapy (Surgery + + CT) is used in management. Contrary to other nasal malignancies it is M/C in females